All or none phenomenon is a feature of -
1. Action potential
2. Local potential
3. Electronic potential
4. Post-synaptic potential

Correct answer: 1. Action potential

Explanation: Ans. is 'a' i.e., Action potential